A 5-year-old child who has not had routine pediatric care develops a febrile disease with cough and a blotchy rash, and is brought to the emergency room. On examination, there is lymphadenopathy. Erythematous, maculopapular rash behind the ears and along the hairline, involving the neck and, to a lesser extent, the trunk. Examination of this patient's oropharynx would likely reveal which lesion?
1. Adherent thin, whitish patch on gingiva
2. Cold sores on the lips
3. Curdy white material overlying an erythematous base on the oral mucosa
4. Multiple small white spots on the buccal mucosa

Correct answer: 4. Multiple small white spots on the buccal mucosa

Explanation: This is the history of measles. One would fine small bluish ulcers on the buccal mucosa (Koplik spots). Measles virus belongs to paramyxovirus family. It is an enveloped, single stranded RNA containing virus. Most common complication of measles is otitis media and least common complication is SSPE.